Inhibition of protein synthesis in translocation steps occurs by
1. Tetracycline
2. Erythromycin
3. Aminoglycosides
4. Penicillin

Correct answer: 2. Erythromycin

Explanation: Reversible Inhibitors in bacteria : These antibiotics are bacteriostatic . Tetracycline bind to the 30S subunit of bacterial ribosome and so inhibit attachment of aminoacyl tRNA to the A site of ribosomes. Chloramphenicol inhibits the peptidyl transeferase acitivity of bacterial ribosomes. Erythromycin (macrolides) and clindamycin prevent the translocation process. REFERENCE : DM.VASUDEVAN.TEXTBOOK ; SEVENTH EDITION ; PAGE NO : 605.